Mili is suspected to have an infection on her second pre-natal visit. Her pet cat could act as a reservoir for which of the following conditions?
1. Toxoplasma gondii
2. Rabies
3. Streptocerca infection
4. Plague

Correct answer: 1. Toxoplasma gondii

Explanation: Toxoplasmosis is usually a self-limiting infection due to a parasite called Toxoplasma gondii. The toxoplasmosis parasitic disease is capable of infecting almost all species of warm-blooded animals, including humans, but the primary host is the various members of the cat family. They are the only hosts in which the oocyst-producing sexual stage of Toxoplasma can develop. A wide host range, comprising all the hot-blooded animals including birds and rodents, can serve as a reservoir of rabies. Monkeys are reservoirs for Streptocerca. Wild rodents such as field mice, gerbils, and skunks are the natural reservoir of plague. In India, Tatera indica (wild rat) is considered the main reservoir and not Ratus ratus (domestic rat).